Anticoagulant used to estimate glucose from a sample sent from PHC is
1. EDTA
2. Calcium oxalate
3. Potassium oxalate + NaF
4. Sodium citrate

Correct answer: 3. Potassium oxalate + NaF

Explanation: Ans. is 'c' i.e. Potassium oxalate + NaF Repeat from Nov 06The standard anticoagulant used for collection of blood sample for glucose estimation is potassium oxalate.Sodium fluoride is used as a glycolytic inhibitor (At room temperature a loss of 1 to 2% of glucose per hour is expected in the collected blood sample as the RBCs in the sample are still alive and extracting glucose for glycolysis. This gives a false low value of blood glucose. Sodium fluoride is added to inhibit glycolysis)